The National Population Policy 2000 aims to achieve Total Fertility Rate of 2.1 by the year
1. 2005
2. 2015
3. 2010
4. 2050

Correct answer: 3. 2010

Explanation: National Population Policy 2000 (NPP 2000)
• Immediate objective: To address the unmet needs for contraception, health care infrastructure, and health personnel, and to provide integrated service delivery for basic reproductive and child health care.
• Mid-term objective: To bring the TFR to replacement levels (TFR = 2.1) by 2010.
• Long term objective: To achieve a stable population by 2045.